Each gram of fat supplies how many kcal of energy:
1. 5
2. 9
3. 12
4. 13

Correct answer: 2. 9

Explanation: The various nutrients provide energy as follows: Nutrient Energy in kcal/ gram Protein 4 Carbohydrate 4 Fat 9 Dietary Fibres 2 Ref: Park 21st Edition, Page 585.